Heat acclimatization is due to which hormone?
1. Thyroxine
2. Insulin
3. Adrenaline
4. Aldosterone

Correct answer: 4. Aldosterone

Explanation: Heat acclimatization is defined as the process of improvement in tolerance to heat as a result of repeated sessions of exercise in a hot environment, resulting in a measurable improvement in physiological response. The body's response includes increase in the rate of sweating but decrease in sodium in the sweat, preserving salt by the action of aldosterone; increase in skin blood flow and overall control of body temperature as environmental conditions (air temperature and humidity) change. In addition, acclimatization will reduce the incidence and severity of heat illness.Ref: Ganong's review of medical physiology;24th edition; page no-318